In the absence of fertilization and implantation the corpus luteum persists for :
1. 2 - 3 days
2. 6 - 8 days
3. 12 - 14 days
4. 28 - 30 days

Correct answer: 3. 12 - 14 days

Explanation: 12 - 14 days